Anti-oxidant vitamins include all except:-
1. Vitamin A
2. Vitamin C
3. Vitamin E
4. Vitamin K

Correct answer: 4. Vitamin K

Explanation: Anti-oxidants arecompounds that inhibit oxidation. Oxidation is a chemical reaction that can produce free radicals, thereby leading to chain reactions that may damage the cells of organisms. Thus, anti-oxidants protects the cell from free radical injury. Anti-oxidant vitamins are: Vitamin A ( especially Carotene) Vitamin C Vitamin E